Child is able to make tower of 5-6 cubes at which age?
1. 18 months
2. 24 months
3. 21 months
4. 30 months

Correct answer: 3. 21 months

Explanation: Tower of 2 cubes- 15 months Tower of 4 cubes- 18 months Tower of 5-6 cubes- 21 months Tower of 6-7 cubes- 24 months Makes bridge of 3 cubes- 3 years Makes gate of 5 cubes -4 years. Ref: Nelson's 20 th edition- page 75.